Chance of passing a genetic disease 'y' trait by the affected parents to children is 0.16. They plan to have two children. Prabability of both the children having 'y' trait is -
1. zero
2. 0.16
3. 0.32
4. 0.0256

Correct answer: 4. 0.0256

Explanation: In the given question, chance of passing a Genetic disease 'y' trait by the affected parents to children is 0.16 and they plan to have two children, Probability of 1st child having 'y' trait P(A)=0.16(16%). Probability of 2nd child having 'y' trait,P(B)= 0.16(16%). Probability of both the children having 'y' trait is. P( total)=P(A)+P(B). P(total)=0.16*0.16=0.0256(2.56%). Reference:Simple Biostatistics by Indrayan & Indrayan,1st edition,pg no:105-107.